Which of the following requires a carrier protein?
1. Exocytosis
2. Facilitated diffusion
3. Simple diffusion
4. Osmosis

Correct answer: 2. Facilitated diffusion

Explanation: Facilitated diffusion is the process of spontaneous passive transport of molecules or ions across a cell's membrane specific transmembrane integral proteins.